18 year old girl with primary amenorrhea having a karyotype of 45X0 has an infantile uterus on USG. What should be done next?
1. HRT to induce puberty
2. Vaginoplasty
3. Clitoroplasty
4. B/L gonadectomy

Correct answer: 1. HRT to induce puberty

Explanation: 45 XO = Turner syndrome (Most common form of gonadal dysgenesis) The growth of uterus depends on estrogens In turner syndrome there are streak ovaries so less estrogen ; leading to infantile uterus. So leads to non bleeding of uterus So HRT is given to induce puberty. Features of turner's syndrome: - 1) B/L streak gonads 2) Webbing of neck 3) Low posterior hair line 4) Widely spaced nipple (as breast is absent) 5) Shield shaped chest 6) short 4th metacarpal 7) Cubitus valgus 8) CVS anomalies: M/c - Bicuspid aortic valves (coarctation of aorta) 9) Most common renal anomaly: - horse shoe shaped kidney